Which anaesthetic is contraindicated in renal failure?
1. Isoflurane
2. Desflurane
3. Halothane
4. Methoxyflurne

Correct answer: 4. Methoxyflurne

Explanation: Ans. is 'd' i.e., Methoxyflurne Methoxyflurane It was most potent inhalation agent (least MAC), but not used not (now Halothane is most potent). o It should not be used in closed circuit (reacts with rubber tubing of the losed circuit). It has slowest onset & recovery (however now ether has slowest onset & recovery as methoxyflurane is not used). o Boiling point is more than water (104degC). Intrarenal metabolism of methoxyflurane and subsequent intrarenal production of fluoride ion is the significant cause of methoxyflurane renal toxicity. It can cause high output renal failure and hepatotoxicity